Menghini needle is used for biopsy of which of the following organ?
1. Bone
2. Liver
3. Kidney
4. Muscle

Correct answer: 2. Liver

Explanation: Ans. B. LiverLiver Biopsya. It is performed with a Tru-cut or Menghini needle.b. The main complications are abdominal and/or shoulder pain, bleeding and biliary peritonitis,